A father forced his relictant son to bring a glass of water and the child dropped the glass on the way. This is an example of
1. Reaction formation
2. Denial
3. Passive aggression
4. Acting out

Correct answer: 3. Passive aggression

Explanation: Passive aggression is an immature defense mechanism where a person indirectly expresses anger towards others.